Paroxysmal supra ventricular tachycardia responds to:
1. IV verapamil
2. Valsalva manoeuvre
3. Carotid sinus massage
4. All of the above

Correct answer: 4. All of the above

Explanation: Ans: dRef: Harrison, 16thed, p. 1347- 1348